Which of the following is not asked in personal history in a psychiatric disorder?
1. Occupational history
2. Academic history
3. Food preferences
4. Marital history

Correct answer: 3. Food preferences

Explanation: Food preferences is not a standard component of psychiatric history. The important components of personal history in psychiatry include the following: 1. Perinatal history 2. Childhood history 3. Educational history (Academic history) 4. Occupational history 5. Sexual and marital history 6. Menstural history